All the following are long-acting reversible contraceptives except
1. OC pills
2. Injectable progestins
3. Implants
4. Intrauterine devices

Correct answer: 1. OC pills

Explanation: Long-Acting Reversible ContraceptivesSeveral contraceptive methods are as effective as sterilization but are completely reversible. All have the important advantage of being "forgettable," that is, little is required of the user after the method is begun, very much in contrast to methods like the condom that must be used with each act of intercourse, or the OC, which must be taken daily.These forgettable methods have pregnancy rates in typical use of less than 2 per 100 woman-years, are effective for at least 3 months without attention from the user, and are among the safest methods. They include the injectable progestins, depot medroxyprogesterone acetate (DMPA) and norethindrone enanthate, the etonogestrel and levonorgestrel subdermal implants, copper-containing intrauterine devices such as the copper T380A and the levonorgestrel-releasing intrauterine system.Reference: Novak's gynaecology; 14th edition; Chapter 10; Family planning